"Potter's syndrome" is associated with
1. Renal anomalies
2. Severe oligohydramnio's
3. Flattened nose
4. All of the above

Correct answer: 4. All of the above

Explanation: Potters syndrome is a rare congenital disorder which is diagnosed at birth .It refers to a group of findings which are associated with the lack of amniotic fluid due to renal failure in an unborn infant . Potters facies consists of a flattened nose , recessed chin ,epicanthal folds and low set abnormal ears. Reference: GHAI Essential pediatrics, 8th edition